Which of the following is a prodrug-
1. Neostigmine
2. Captopril
3. Esmolol
4. Enalapril

Correct answer: 4. Enalapril

Explanation: Ans. is 'd' i.e., Enalapril Prodrugo Few drugs are inactive as such and need conversion in the body to one or more active metabolites,o Such a drug is called a prodrug.o All the drugs in following table are very important, sorry, I can not shorten the listProdrugLevodopaEnalaprila - MethyldopaChloralhydrateDipiveffineOxcarbazepinePrednisoneBacampicillinSulfasalazineCyc lophospham ideMercaptopurineFluorouracilSulindacAzathioprineCortisoneBenorilateProguanilZidovudinTerfenadineProntosilo Advantages of prodrugs over active formMore stableBetter bioavailabilityLess side effects and toxicity.